Which of the following test is not used for detec on of seminal stain?
1. Barbeiros test
2. Acid Phosphatase test
3. Florence test
4. Phadebas Test

Correct answer: 4. Phadebas Test

Explanation: Phadebas Test:: A chemical reagent called Phadebas is used to detect the enzymatic activity of the alpha amylase enzyme, which is found in saliva